NOT important in brain death:
1. EEG
2. ECG
3. Absence of brainstem reflex
4. Body temperature

Correct answer: 2. ECG

Explanation: Ans. ECG